Rademecker complex in EEG is seen in -
1. SSPE
2. vCJD
3. cCJD
4. Kuru

Correct answer: 1. SSPE

Explanation: Answer- A. SSPECharacteristic periodic activity (Rademecker complex) is seen on EEG showing widespread cortical dysfunction in SSPE.It is characterised by high voltage spike occuning at higlr lrequency of 0.5- 1.5 seconds.